neural tube effcts are side effcts of which drug
1. valproate
2. clonazepam
3. lamotrigine
4. lithium

Correct answer: 1. valproate

Explanation: LETHAL SIDE EFFECTS OF VALPROATE - Hyperammonemia - Pancreatitis - Hepatic failure - Neural tube defects - Thrombocytopenia MINOR SIDE EFFECTS OF VALPROATE - Hair loss - PCOD - WEIGHT GAIN - TREMORS Ref.kaplon and sadock, synopsis of psychiatry, 11 th edition, pg no,935